Renin is secreted by :
1. PCT
2. DCT
3. Collecting duct
4. Juxatglomerular apparatus

Correct answer: 4. Juxatglomerular apparatus

Explanation: D i.e. Juxta glomerular apparatusRenin is secreted by JG cells of Juxta glomerular (JG) apparatusQ.